B12 deficiency causes ?
1. Demyelination
2. Dermatitis
3. Burning foot syndrome
4. Beriberi

Correct answer: 1. Demyelination

Explanation: Ans. is 'a' i.e., DemyelinationB12 in the form of Adenosyl B12 acts as a coenzyme for Methyl malonyl CoA mutase. Methyl Malonyl CoA mutase helps in the conversion of methyl malonyl CoA to Succinyl CoA.in B12 deficiency, methyl malonyl CoA accumulates. Methyl Malonyl CoA gets incorporated into fatty acids (instead of malonyl CoA).This results in abnormal fatty acids getting synthesized. When these fatty acids get incorporated in myelin, it results in rapid demyelination